All of the following drugs are used for the treatment of urinary incontinence except -
1. Oxybutynin
2. Ipratropium
3. Darifenacin
4. Tolterodine

Correct answer: 2. Ipratropium

Explanation: Ans. is 'b' i.e., Ipratropium o In human urinary bladder, M2 and M. receptors are expressed predominantly with the M3 subtype mediating direct activation of contraction. M2 receptor acts indirectly by inhibiting relaxation by norepinephrine and epinephrine. o Drugs used for urinary incontinence ? Selective M3 antagonists - Oxybutynin, Darifenacin, solifenacin, Tolterodine. Nonselective antagonist - Trospium, Propiverine. Tricyclic antidepressant - Imipramine.